Bohler's angle is decreased in fracture of -
1. Calcaneum
2. Talus
3. Navicular
4. Cuboid

Correct answer: 1. Calcaneum

Explanation: Bohler's Tuber Joint Angle and Crucial Angle of Gissane are measured for Intra Articular Fractures of Calcaneum.